62 year old Male patient presents to the OPD with Right ear pain and reduced hearing. On examination EAC is blocked and shows wet news paper appearance. which organism is causing this Otomycosis
1. Aspergillus fumigatus
2. Aspergillus Niger
3. Candida
4. Tinea

Correct answer: 2. Aspergillus Niger

Explanation: M/C Organism causing Otomycosis is Aspergillus Niger, has wet news paper appearance.
Candida shows cotton wool appearance.